False regarding the foreign body of oropharynx is ?
1. Impacted foreign bodies most often lodge in the soft tissue at the base of tongue
2. Food particles are the most common oropharyngeal foreign bodies in children
3. Clinical hypopharyngeal foreign bodies are amenable to clinical examination
4. Endoscopy and MDCT are used in the diagnosis

Correct answer: 2. Food particles are the most common oropharyngeal foreign bodies in children

Explanation: Ans. is 'b' i.e., Food particles are the most common oropharyngeal foreign bodies in children Oropharyngeal foreign bodies Most ingested foreign bodies do not impact in the oropharynx Sharp foreign bodies like fish and chicken bones most commonly impact in the soft tissues at the base of the tongue. Hypopharyngeal foreign bodies can be detected by good physical examination. Endoscopy and MDCT are used in the diagnosis of foreign bodies of cervical esophagus. Coins are the most common impacted oropharyngeal foreign bodies encountered in children followed by food particles.